Increased uric acid production in tumours is due to ?
1. Increased purine degradation
2. Increased pyrimidine degradadation
3. Denovo purine synthesis
4. Increased pyrimidine synthesis

Correct answer: 1. Increased purine degradation

Explanation: There is increasing evidence for an association between gout, hyperuricemia, and cancer. High uric acid levels are associated with high rates of cancer, also. The high rates of cell breakdown seen in cancer are known to cause hyperuricemia. The risk of several types of cancers was also studied, including digestive cancer, urological cancer, lung cancer, breast cancer, and brain cancer. The overall analysis showed an increased risk of cancer in patients with gout. As well, there was an increased risk of urological and of digestive cancers in gout. There was a moderate increased risk of lung cancer in patients with gout, but no increased risk of breast or of brain cancer was seen in patients with gout. Factors that may cause a high uric acid level in your blood include: Diuretics (water retention relievers) Drinking too much alcohol Genetics (inherited tendencies) Hypothyroidism (underactive thyroid) Immune-suppressing drugs Niacin, or vitamin B-3 obesity psoriasis Purine-rich diet -- liver, game meat, anchovies, sardines, gravy, dried beans and peas, mushrooms, and other foods Renal insufficiency (inability of the kidneys to filter waste) Tumor lysis syndrome (a rapid release of cells into the blood caused by certain cancers or by chemotherapy for those cancers) Ref - Davidson 23rd edition pg 1146